Patient sustains twisting type of injury followed by recurrent locking of knee. Most likely structure to be injured is-
1. Menisci injury
2. Anterior cruciate ligament injury
3. Avulsed tibial tuberosity
4. Lateral collateral ligament injury

Correct answer: 1. Menisci injury

Explanation: *Twisting type of injury of knee followed by recurrent locking of knee-suggestive of meniscal tear. Causes of Meniscus Injuries * Can result from activities involving pivoting or rotational movements -- i.e. pivoting, sudden stops and turns, kneeling, deep squatting, heavy * Tears in the meni cus of the knee are commonly due to spos-rela ed injuries * Degenerative chart ges of the knee can contribute to a torn meniscus * Meniscal tears may be associated with anterior cruciate ligament tears -- The instability of the knee increases the likelihood of a meniscal tear over time Ref: Murcer 9th/e p.1126-41